Which metabolic abnormality is caused by cyclosporine ?
1. Hyperkalemia
2. Hypokalemia
3. Hypercalcemia
4. Hypocalcemia

Correct answer: 1. Hyperkalemia